All of the following are features of pyle disease except
1. It is an autosomal recessive disease
2. It is an epiphyseal dysplasia
3. Intellectual disability is uncommon
4. Dental caries and mandibular prognathism

Correct answer: 2. It is an epiphyseal dysplasia

Explanation: Answer- B. It is an epiphyseal dysplasiaMetaphyseal dysplasia, also known as Pyle's disease, Pyle's syndrome, Pyle-Cohn syndrome, and Bakwin-Krida syndrome is a rare disease in which the outer part ofthe shafts oflong bones is thinner than normal and there is an increased ihance of fractures.